Which of the following is true regarding Okazaki fragment?
1. Are segments of RNA attached to an RNA initiator component
2. Are related to the leading strand
3. Several Okazaki fragments must be sequentially synthesized for each replication fork
4. Helicase acts on the leading strand to unwind dsDNA

Correct answer: 3. Several Okazaki fragments must be sequentially synthesized for each replication fork

Explanation: Ans. C. Several Okazaki fragments must be sequentially synthesized for each replication forka. Okazaki fragments are segments of DNA attached to an RNA initiator component.b. They are related to the lagging strand.c. Helicase acts on the lagging strand to unwind dsDNA.